Which of the following is not a cause of cirrhosis?
1. Nonalcoholic steatohepatitis
2. Cystic fibrosis
3. Hepatitis A
4. a1 Antitrypsin deficiency

Correct answer: 3. Hepatitis A

Explanation: Causes of CirrhosisAlcoholismChronic viral hepatitisHepatitis BHepatitis C Autoimmune hepatitis Nonalcoholic steatohepatitis Biliary cirrhosisPrimary biliary cirrhosisPrimary sclerosing cholangitisAutoimmune cholangiopathyCardiac cirrhosisInherited metabolic liver diseaseHemochromatosisWilson's diseasea1 Antitrypsin deficiencyCystic fibrosisCryptogenic cirrhosisRef: Harrison 19e pg: 2058